"The process in which amino group of the amino acid is transferred to the keto acid and the keto group of the keto acids transferred to the amino acid" is called:
1. Phosphorylation
2. Transamination
3. Deamination
4. Decarboxylation

Correct answer: 2. Transamination

Explanation: Transamination reactions is the conversion of one amino acid to the corresponding keto acid with simultaneous conversion of another keto acid to an amino acid. Phosphorylation is the addition of a phosphate (PO43-) group to a protein or other organic molecule. Deamination is the removal of an amine group from a molecule. Decarboxylation is a chemical reaction that removes a carboxyl group and releases carbon dioxide (CO2). Ref: Barrett K.E., Barman S.M., Boitano S., Brooks H.L. (2012). Chapter 1. General Principles & Energy Production in Medical Physiology. In K.E. Barrett, S.M. Barman, S. Boitano, H.L. Brooks (Eds), Ganong's Review of Medical Physiology, 24e.